Conduction aphasia is classically seen due to lesion in -
1. Arcuate fascicultis
2. Cingulate gyms
3. Bruges area
4. Werniekes area

Correct answer: 1. Arcuate fascicultis

Explanation: Answer- A. Arcuate fascicultis